All of the following metabolic cycles occur in mitochondria, except:
1. Citric acid cycle (Kreb's cycle)
2. Glycogenolysis
3. Fatty acid oxidation
4. Electron transport chain

Correct answer: 2. Glycogenolysis

Explanation: Citric acid cycle, fatty acid oxidation, and electron transport chain are occurring in mitochondria. But glycogenolysis occurs in the cytoplasm. Ref: Free Radicals And Diseases: Gene Expression, Cellular Metabolism By Tilman Grune, Edition 2005, Page 43.